Vaginal atresia is associated with:
1. Uterine atresia
2. Exostrophy of bladder
3. Ovarian atrophy
4. Imperforate hymen

Correct answer: 1. Uterine atresia

Explanation: Vaginal atresia is associated with uterine atresia and syndrome is called as Mayer Rokitansky Kuster Hauser syndrome
Surgery done is: Unification surgery (Strassman) where an incision is made over the uterus and the 2 horns are sutured together to form a single cavity.
After such a surgery: if woman conceives she should be taken up for elective LSCS at 38 weeks of gestation. These days hysteroscopic metroplasty is being done.